Muscle responsible for opening of mandibular
1. Lateral pterygoid
2. Medial pterygoid
3. Temporalis
4. Buccinators

Correct answer: 1. Lateral pterygoid

Explanation: Masseter and medial pterygoid form a amuscular sling which holds and suspends the mandible. By cambining the actions of both muscles in to a functional unit, this sling enables powerful closure of the jaws.